"Linguine sign" and "Stepladder sign" that are specific for intracapsular breast implant rupture are both seen in:
1. Mammogram and USG respectively
2. MRI and Mammography respectively
3. MRI and USG respectively
4. Mammography and MRI respectively

Correct answer: 3. MRI and USG respectively

Explanation: "Linguine sign" and "Stepladder sign" that are specific for intracapsular breast implant rupture are both seen in MRI and USG respectively. 'Snowstorm appearance' on ultrasound is seen in extra-capsular rupture. LINGUINE SIGN